P.F. causes -
1. Thrombocytopenia
2. DIC
3. Hemolysis
4. All

Correct answer: 4. All

Explanation: Ans. is 'a' i.e., Thrombocytopenia; 'b' i.e., DIC; 'c' i.e., Hemolysis - Cerebral malaria - Lactic acidosis - Hypoglycemia - Non cardiogenic pulmonary edema (ARDS) - Acute tubular necrosis (ATN) -3 Renal failure - Hemolytic anemia and mild thrombocytopenia - DIC - Liver dysfunction with jaundice - Low birth weight in primi and secundigravid women (P. vivax causes low birth weight in multigravid women). - Aspiration pneumonia - Salmonella bacteremia - Chest infections In unconcious patients - Catheter - induced UTI - Hemogloblinuria - Convulsions - Hypotension / shock - Bleeding from gastrointestinal tract (hematemesis), gum and nose.